A 25 year old male presents to the dental clinic for routine dental checkup. On intra-oral examination, it is revealed that deep pits and fissures are present.
Which of the following enzymes present in the saliva is lethal to many organisms and suppresses biofilm formation on tooth surfaces?
1. Lactoperoxidase
2. Amylase
3. Lipases
4. Secretory immunoglobulin A (IgA)

Correct answer: 1. Lactoperoxidase

Explanation: Saliva is an extremely important substance for the proper digestion of foods, and it also plays a key role as a natural anticaries agent. The importance of saliva for oral health is dramatically noted after therapeutic radiation to the head and neck. After radiation, salivary glands become fibrotic and produce little or no saliva, leaving the patient experiencing an extremely dry mouth (xerostomia) (xero - dry; stoma - mouth), a condition termed hyposalivation. Such patients may experience near-total destruction of the teeth in just a few months after radiation treatment. Patients who have an autoimmune disease (e.g., Sjögren syndrome) also suffer from hyposalivation and experience severe xerostomia and can experience the same devastating effects of hyposalivation on their dentition. In addition, many common medications are capable of reducing salivary flow and increasing caries risk.
Elements of Saliva That Control Biofilm Communities